Pegvisomant is used in ?
1. Dwarfism
2. Acromegaly
3. Cretinism
4. Protein energy malnutrition

Correct answer: 2. Acromegaly

Explanation: Ans. is `b' i.e., Acromegaly